Manubriosternal joint is ?
1. Primary cartilaginous
2. Secondary caritilaginous
3. Synovial
4. Ellipsoid

Correct answer: 2. Secondary caritilaginous

Explanation: Ans. is 'b' i.e., Secondary cartilaginous